Distance between maxillary major connector and tooth tissue junction is
1. 2 mm
2. 4 mm
3. 6 mm
4. 8 mm

Correct answer: 3. 6 mm